How many Golgi tendon organs are there for 100 muscle fibers?
1. 90-100
2. 70-90
3. Oct-40
4. 0-10

Correct answer: 4. 0-10

Explanation: Approximately 1 Golgi tendon organ innervate 10 t0 20 muscle fibers It is responsible for inverse stretch reflex Ref:Guyton and Hall textbook of medical physiology 12th edition,page number:689